The developmental implication of developmental milestone uncovers toys after seeing it hidden is:
1. Symbolic thought
2. Beginning of labelling
3. Object permanence
4. Self-discovery

Correct answer: 3. Object permanence

Explanation: c. Object permanence(Ref: Nelson's 20/e p 66)MilestoneStares at own handUncovers toy (after seeing it hidden)Pretend play with doll (e.g., gives doll bottle)Developmental implicationSelf-discoveryObject permanenceSymbolic thought